Hereditary retinoblastoma develop from the following chromosomal deletions
1. 13q 14
2. 13 p 14
3. 14 p 13
4. 14 q 13

Correct answer: 1. 13q 14

Explanation: Most commonly retinoblastoma sporadic. Most common mode of inheritance is heriditaery retinoblastoma is autosomal dominant